Hundred day glaucoma is associated with:
1. Neovascular glaucoma
2. CRAO
3. CRVO
4. Steroid-related glaucoma

Correct answer: 3. CRVO

Explanation: Ans. C: CRVO Occurrence of neovascular glaucoma in many patients with CRVO is observed in a span of three months, or 100 days, from the onset of occlusion. Diabetes is a primary risk factor for CRVO, along with elevated blood cholesterol, and high blood pressure. CRVO is an acute event